The maximum number of death in children occur in following age group
1. 2-5 years
2. 1-2 years
3. first 7 days
4. 6 months - 12 months

Correct answer: 3. first 7 days

Explanation: parks textbook of preventive and social medicine 23rd edition *75% of total neonatal deaths occur within first week of life. *risk of death is greatest during first 24-48hours after birth.